Cataract in diabetic patients is because of the accumulation of sorbitol in the lens. The enzyme responsible for this is –
1. Hexokinase
2. NADPH+ dependant aldolase reductase
3. Glucokinase
4. Phosphofructo isomerase

Correct answer: 2. NADPH+ dependant aldolase reductase

Explanation: NADPH+ dependent aldolase reductase reduces excessive glucose to sorbitol and intracellular accumulation of sorbitol causes osmotic changes resulting in cataract development.